Intellectual disability is diagnosed if. (Intelligence quotient) is less than
1. 90
2. 80
3. 70
4. 60

Correct answer: 3. 70

Explanation: 70